Association of two variables explained by third variable
1. Spurious association
2. Indirect association
3. Direct association
4. Causal association

Correct answer: 2. Indirect association

Explanation: Ref:Park's Textbook of Preventive and Social Medicine 25th Ed